Alpha methyldopa is primarily used for:
1. Pregnancy induced hypertension
2. Renovascular hypertension
3. First line agent in hypertension
4. Refractory hypertension

Correct answer: 1. Pregnancy induced hypertension

Explanation: Ans. (A) Pregnancy induced hypertension(Ref: Katzung 11th/e p173)'Methyl-dopa was widely used in past but is now used primarily for hypertension in pregnancy